When carving a Class I amalgam restoration, which statement is false?
1. Carving may be made easier by waiting 1 or 2 minutes after condensation before it is started.
2. The blade of the discoid carver should move parallel to the margins resting totally on the partially set amalgam.
3. Do not carve deep occlusal anatomy.
4. The carved amalgam outline should coincide with the cavosurface margins.

Correct answer: 2. The blade of the discoid carver should move parallel to the margins resting totally on the partially set amalgam.

Explanation: Amalgam carving should result in coincidence with the cavosurface margin and should not result in deep occlusal anatomy because such form may create acute amalgam angles that are subject to fracture. Depending on the condensation rate of the amalgam used, waiting a couple of minutes prior to initiating carving may allow the amalgam to harden enough that the carving will be easier and overcarving will be minimized. When carving the occlusal cavosurface margin, the discoid carver should rest on the adjacent unprepared enamel, which will serve as a guide for proper removal of amalgam back to the margin.